Bakers cyst is a swelling which occurs in:
1. Popliteal fossa
2. Cubital fossa
3. Lateral malleolus
4. Medial malleolus

Correct answer: 1. Popliteal fossa

Explanation: Ans: A (Popliteal fossa) Ref: Apley's System of Orthopaedics and Fractures. 9th EditionExplanation:A Baker's cyst is produced by bulging of the posterior capsule of the knee and synovial herniation which produce a swelling in the popliteal fossa.The lump, which is usually seen in older people, is in the midline of the limb and at or below the level of the joint.It fluctuates but is not tender It becomes less prominent on knee flexion as opposed to semimembranosus bursa.It is more likely to be caused by rheumatoid or osteoarthritis.